Bochdalek hernia occurs in
1. Antero-lateral part of diaphragm
2. Postero-lateral part of diaphragm
3. Retro-sternal area
4. posterior to diaphragm

Correct answer: 2. Postero-lateral part of diaphragm

Explanation: BOCHDALEK HERNIA: Usually left sided It is congenital diaphragmatic hernia Deficiency in left pleuroperitoneal cavity Left lung hypoplasia Right lung is also compressed Cyanosis at birth NEONATAL EMERGENCY MORGAGNI HERNIA Mostly on right side Antero-medial & Retrosternal Transverse colon herniates in front of heart Less common than Bochdalek hernia